A lady has B/L hearing loss since 4 years which worsened during pregnancy. Type of impedance audiometry graph will be:
1. Ad
2. As
3. B
4. C

Correct answer: 2. As

Explanation: (b) As(Ref. Cummings, 6th ed., 2213)Lady with B/L hearing loss with history of worsening during pregnancy is suggestive of otosclerosis.Impedance audiometry shows As type curve (normal middle ear pressure with reduced compliance). This is diagnostic of otosclerosis.Ad type curve is seen in ossicular discontinuity.B type curve is seen in serous Otitis media.C curve is seen in early stages of Eustachian tube obstruction.